Pneumatosis cystoids intestinalis is
1. Gas filled cysts in the subserosa or submucosa of the small intestine
2. Gas filled cysts in the subserosa or submucosa of the duodenum
3. An external fistula communicating with the caecum following operation of gangrenous appendicitis
4. Fibrotic thickening of the intestinal walls with narrow lumen

Correct answer: 1. Gas filled cysts in the subserosa or submucosa of the small intestine

Explanation: (Gas-filled cysts are found in the subserosa or submucosa of the small intestine) (1182-LB)Pneumatosis cvstoids intestinalis - in which gas-filled cysts are found in the subserosa or submucosa of the intestine or colon.* Majority of cases are associated with COPD or the immunocompromised state (eg. AIDS, post transplantation; in association with leukemia, lymphoma, vasculitis, or collagen vascular disease, and in those patients taking chemotherapy or corticosteroids) other associated conditions include inflammatory, obstructive or infectious conditions of the intestine: iatrogenic conditions such as endoscopy and jejunstomy placement; ischemia and extra-intestinal disease such as diabetes.